Ivermectin in indicated in the treatment of –
1. Syphilis
2. Scabies
3. Tuberculosis
4. Dermatophytosis

Correct answer: 2. Scabies

Explanation: Ivermectin is the only oral drug, available for scabies treatment.
It is also used for pediculosis.